All are true about cefuroxime Except:
1. Inhibit cell was synthesis
2. Third generation cephalosporin
3. Some acquired resistance with penicillin
4. More active against gram negative organisms

Correct answer: 2. Third generation cephalosporin

Explanation: It is a 2 nd generation cephalosporin,resistant to gram-negative lactamases: has high activity against organisms producing these enzymes including PPNG and ampicillin-resistant H. influenzae, while retaining significant activity on gram-positive cocci and certain anaerobes. It is well tolerated by i.m. route and attains relatively higher CSF levels, but has been superseded by 3rd generation cephalosporins in the treatment of meningitis. ESSENTIALS OF MEDICAL PHARMACOLOGY page no.727